New born eye is -
1. Myopic
2. Hypermetropic
3. Presbyopic
4. None of the above

Correct answer: 2. Hypermetropic

Explanation: Ans. is 'b' i.e., Hypermetropic Eve at birtho Anteroposterior diameter of eye ball is about 16.5 mm (70% of adult size). Adult size is attained by 7-8 years,o Corneal diameter is about 10 mm. Adult size (11.7 mm) is attained by 2 years of age.o Anterior chamber is shallow and angle is narrow,o Lens is spherical at birth.o Retina Apart from macular area, the retina is fully differentiated. Macula differentiates 4-6 months after birth.o Myelination of optic nerve fibres has reached the lamina cribrosa.o New born is usually hypermetropic by +2 to +3D.o Orbit is more divergent (50deg) as compared to adult (45deg).o Lacrimal gland is still underdeveloped and tears are not secreted.